Hemochromatosis affects the following organs EXCEPT
1. Liver
2. Heart
3. Pancreas
4. Brain

Correct answer: 4. Brain

Explanation: (D) Brain # Hemochromatosis: At autopsy, the enlarged nodular liver and pancreas are rusty in color.> Histologically, iron is increased in many organs, particularly in the liver, heart, and pancreas, and to a lesser extent in the endocrine glands.> The epidermis of the skin is thin, and melanin is increased in the cells of the basal layer.> Deposits of iron are present around the synovial lining cells of the joints.